Virchows method of organ removal is
1. Organs removed en masse
2. Organs removed one by one
3. In situ removal
4. Minimal invasive autopsy

Correct answer: 2. Organs removed one by one

Explanation: METHOD OF REMOVAL OF ORGANS. Virchow's technique- Organs are removed one by one, Cranial cavity is exposed first, followed by thoracic,cervical and abdominal organs. Spinal cord is removed from the back. Rokitansky's technique- It involves in situ dissection in part, combined with en block removal. Letulle's technique- Cervical, thoracic, abdominal and pelvic organs are removed en masses and dissected as organ block. Ghon's technique- Cervical,thoracic,abdominal and urogenital system are removed as organ blocks, Neurobal system is removed as another block. Ref: K.S.Narayan Reddy's Synopsis of Forensic Medicine and Toxicology, 29th edition, Chapter 5, Page - 63.